Prophylactic dose of vitamin K given to new born infants at delivery is ?
1. 1mg
2. 5mg
3. 10mg
4. 15mg

Correct answer: 1. 1mg

Explanation: Ans. is 'a' i.e., 1 mgVitamin K Deficiency in NewbornsThe symptoms of vitamin K deficiency are due to hemorrhageNewborns are particularly susceptible to vitamin K deficiency because of low fat stores, low breast milk levels of vitamin K, sterility of the infantile intestinal tract, liver immaturity, and poor placental transport.Intracranial bleeding, as well as gastrointestinal and skin bleeding, can occur in vitamin K-deficient infants 17 days after birth.Thus, vitamin K (1 mg IM) is given prophylactically at the time of delivery.